Process of dark adaptation involves:
1. Rods of retina
2. Cones of retina
3. Pigment epithelium of retina
4. Both rods and cones

Correct answer: 4. Both rods and cones

Explanation: Ans. Both rods and cones